A 55-year-old woman visits the outpatient clinic with a swelling in her neck. Radiographic and ultrasound examinations reveal a benign thyroid gland tumor. Three days after thyroidectomy the patient shows air bubbles in the CT of her brain. Which of the following is the most likely cause of the air bubbles in this case?
1. Injury to inferior thyroid artery
2. Injury to inferior and superior thyroid arteries
3. Injury to superior thyroid artery and vein
4. Injury to superior and middle thyroid veins

Correct answer: 4. Injury to superior and middle thyroid veins

Explanation: The superior thyroid vein is a tributary to the internal jugular vein; it accompanies the superior thyroid artery. The middle thyroid vein is typically a short, direct tributary to the internal jugular vein. The inferior thyroid vein usually drains vertically downward to one or both brachiocephalic veins. The superior and middle thyroid veins can be torn in thyroid surgery, perhaps admitting an air bubble (due to negative pressure in the veins) that can ascend in the internal jugular vein into the skull, with injurious or lethal results.